Dobutamine differs from dopamine in that
1. It has good blood-brain barrier penetrability
2. It causes pronounced tachycardia
3. It does not activate adrenergic b receptors
4. It does not activate peripheral dopaminergic receptors

Correct answer: 4. It does not activate peripheral dopaminergic receptors

Explanation: Dopamine (DA):- It is a dopaminergic (D1 and D2) as well as adrenergic a and b1 (but not b2) agonist. Dobutamine:- A derivative of DA, but not a D1 or D2 receptor agonist. Though it acts on both a and b adrenergic receptors. Ref:- kd tripathi; pg num:-134